Most common organism causing meningitis in a one year old child –
1. Streptococcus pneumoniae
2. H. influenza
3. Listeria
4. Neisseria meningitidis

Correct answer: 1. Streptococcus pneumoniae